In Optic neuritis in children, all symptoms are present EXCEPT -
1. Afferent pupillary defect
2. Headache and vomiting
3. Pain on movements of eye ball
4. Sudden vision loss

Correct answer: 2. Headache and vomiting

Explanation: Optic neuritis cause sudden loss of vision with pain on ocular movement. There is afferent pupillary defect (RAPD).
Headache and vomiting are symptoms of increased ICT, which occur in papilloedema not in papillitis (optic neuritis).